Polysaccharides are
1. Polymers
2. Acids
3. Proteins
4. Oils

Correct answer: 1. Polymers

Explanation: Polysaccharides are polymers of monosaccharides. They are of two types- homopolysaccharides that contain a single type of monosaccharide (e.g., starch, insulin, cellulose) and heteropolysaccharides with two or more different types of monosaccharides (e.g., heparin, chondroitin sulfate).. Ref: Biochemistry by U. Satyanarayana 3rd edition Pgno : 10